Broad complex tachycardia, due to ventricular tachycardia is suggested by all except
1. Fusion beats
2. AV dissociation
3. Capture beats
4. Termination of tachycardia by carotid sinus massage

Correct answer: 4. Termination of tachycardia by carotid sinus massage

Explanation: Ans. is `d' i.e., Termination of tachycardia by carotid sinus massage